All are SLE associated rashes, EXCEPT:
1. Recurring urticaria
2. Lichen planus-like dermatitis
3. Llupus profundus
4. Lichen plannus pigmentosus

Correct answer: 4. Lichen plannus pigmentosus

Explanation: Lupus dermatitis can be classified as 1. Discoid lupus erythematosus (DLE), 2. Systemic rash 3. Subacutecutaneous lupus erythematosus (SCLE) Discoid skin lesions Circular with slightly raised, scaly hyperpigmented erythematous rims and depigmented with atrophic centers. Disfiguring, particularly on the face and scalp. Treatment -topical or locally injected glucocorticoids and systemic antimalarials. The most common SLE rash is a photosensitive, slightly raised erythema, scaly, on the face, ears, chin, V region of the neck and chest, upper back, and extensor surfaces of the arms. Other SLE rashes are: Recurring urticaria, Lichen planus-like dermatitis Bullae Llupus profundus Ref: Harrison, E-18, P-2734.